Pralidoxime is ineffective in case of which poisoning
1. Organophosphorous
2. Carbaryl
3. Both
4. None

Correct answer: 2. Carbaryl

Explanation: Refer kDT 6/e p 105 Carbaryl is a chemical in the carbamate family used chiefly as an insecticide.